Vitamin E deficiency presents with all except -
1. Ataxic gait
2. Peripheral neuropathy
3. Opthalmoplegia
4. Peri-follicular rash

Correct answer: 4. Peri-follicular rash

Explanation: Answer- D. Peri-follicular rashAreflexiaProgression to an ataxic gaitDecreased vibration and position sensationsOphthalmoplegiaSkeletal myopathyPigmented retinopathy